Not a Radiological finding of pericardial effusion
1. Cardiomegaly
2. Oreo cookie sign
3. Water bottle or flask shaped heart
4. Dock's sign

Correct answer: 4. Dock's sign

Explanation: Dock's sign (inferior notching of 3-8 ribs).
Seen in coarctation of aorta.